Etanercept used in rheumatoid arthritis acts by
1. Inhibition of COX2 and COX-3
2. Inhibition of TNFa
3. Potent immunosuppresent action
4. Auto immunologically mediated action

Correct answer: 2. Inhibition of TNFa

Explanation: i.e. (Inhibition of TNFa): (203-205-KDT 6th) (803-CMDT-l1)Soluble TNF-aR (etanercept) and IL-1 receptor antagonist act to inhibit the activity of pathogenic cytokines in rheumatoid arthritis i.e. TNF-a and IL-1TNFa inhibitors - Etanercept, Infliximab, Adalimumab, golimumab, and certolizumab pegol - A pro inflammatory cytokines - are fulfilling the aim of target therapy for rheumatoid arthritisAbatacept is a costimulation - modulator that inhibits the activation of T-cells*** (629-Katzung 11th)